Ulcer that may develop in burn tissue is -
1. Marjolins
2. Rodent
3. Melanoma
4. Curlings

Correct answer: 1. Marjolins

Explanation: Ans. 'a' Marjolin's ulcer Marjolin's ulcer is the name given to a malignancy (usually sq cell ca) which arises in a: - any long standing wound or - a scar: eg scar of an old burn It presents the following characteristics It grows slowly as the scar is relatively avascular It is painless as scar tissue contains no nerves.